A female infant is born prematurely at 28 weeks' gestation. Shortly after birth, she shows signs of dyspnea, cyanosis, and tachypnea. She is placed on a ventilator for assisted breathing, and a diagnosis of neonatal respiratory distress syndrome (hyaline membrane disease) is made. Which of the following is the cause of this syndrome?
1. Bronchopulmonary dysplasia
2. Intraventricular brain hemorrhage
3. Lack of fetal pulmonary maturity and deficiency of surfactant
4. Necrotizing enterocolitis

Correct answer: 3. Lack of fetal pulmonary maturity and deficiency of surfactant

Explanation: -Neonatal respiratory distress syndrome (hyaline membrane disease) is the most common cause of respiratory failure in newborns and results from a deficiency of surfactant and immature development of the lungs Predisposing factors include prematurity, maternal diabetes mellitus, and birth by cesarean section.